Which of the following conditions is least likely to present as an acentric osteolytic lesion?
1. Aneurysmal hone cyst
2. Giant cell tumor
3. Fibrous cortical defect
4. Simple bone cyst

Correct answer: 4. Simple bone cyst

Explanation: Ans. Simple bone cyst